Which of the following is derived from endoderm?
1. Gall bladder
2. Lens
3. Spleen
4. Lymph nodes

Correct answer: 1. Gall bladder

Explanation: HUMAN EMBRYOLOGY-INDERBIR SINGH TENTH EDITION-PAGE NO:203 The pars cystica of the hepatic bud gives origin to the gallbladder and to the cystic duct. the part of the hepatic bud proximal to the pars cystica forms the bile duct (Hepatic bud is endodermal in origin)